Maximum fat is found in ?
1. Buffalo milk
2. Goat milk
3. Human milk
4. Cow milk

Correct answer: 1. Buffalo milk

Explanation: Ans. is 'a' i.e., Buffalo milk